Prerenal and renal azotemia is differentiated on the basis of:
1. Creatinine clearance
2. Serum creatinine level
3. Sodium fraction excretion
4. Urine bicarbonate level

Correct answer: 3. Sodium fraction excretion

Explanation: Answer is C (Sodium Fraction Excretion):